Brachy cephalic individual usually has
1. Narrow dental arches
2. Broad dental arches
3. Normal dental arches
4. B or C

Correct answer: 2. Broad dental arches